Which antineoplastic drug is associated with a very high cardiac toxicity?
1. Bleomycin
2. Actinomycin-D
3. Doxorubicin
4. Mitomycin-C

Correct answer: 3. Doxorubicin

Explanation: Doxorubicin an antitumor antibiotic is highly cardiotoxic. It causes acute cardiotoxicity in the form of atrial and ventricular dysrythmias and cumulative doses more than 550 mg/m2 is associated with a 10% incidence of chronic cardiomyopathy. Cardiotoxicity is related to the iron catalyzed oxidation and reduction of doxorubicin. Cardiotoxicity is related to peak plasma dose so lower dose and continuous infusions are less likely to cause cardiac damage.